Hay's sulpher test is used to detect which of the following ?
1. Bile salts in urine
2. Reducing sugar in urine
3. Ketone bodies in urine
4. Urobilinogen in urine

Correct answer: 1. Bile salts in urine

Explanation: Ans. is 'a' i.e., Bile salts in urineTestsUsed forRothera's test (nitroprusside test) Ketone bodies in urine :- acetone and acetocetate Gerhardt's test (ferric chloride test) Ketone bodies in urine :- acetoacetate. Benedict's test Reducing sugars in urine Fehling's test Reducing sugars in urine Hay's sulpher test Bile salts in urineFouchet's (borium sulphate test) Bile pigment : bilirubin Gmelin's (nitric acid) test Bile pigment : bilirubin Vanden Bergh test Bile pigment : bilirubin Ehrlich's test Bilinogens (stercobilinogen, urobilinogen) Schlesinger's test Bilins (stercobilin, urobilin). Ehrlich's aldehyde test Porphobilinogen and urobilinogen in urine